Which of the congenital cardiac anomaly give rise to characteristic 'snowman appearance' on chest x-ray?
1. Fallot's tetralogy
2. TAPVC
3. TGA
4. Ebstein's anomaly

Correct answer: 2. TAPVC

Explanation: With the unobstructed types of total anomalous pulmonary venous connection (TAPVC), the heart is enlarged with increased pulmonary flow. Pulmonary edema is uncommon. In patients with return to the left innominate vein, there may be a characteristic bulging of the superior mediastinum bilaterally, producing a "snowman," or figure-eight, contour. With obstructed types, the heart size is nearly normal; there is very marked pulmonary edema, which may give a granular appearance to the lungs, making differentiation from respiratory distress syndrome difficult in a newborn. Ref: Brown D.W., Fulton D.R. (2011). Chapter 83. Congenital Heart Disease in Children and Adolescents. In V. Fuster, R.A. Walsh, R.A. Harrington (Eds), Hurst's The Heart, 13e.